Hemmorhagic fever is not caused by -
1. Yellow fever
2. KFD
3. Japanese encephalitis
4. Dengue fever

Correct answer: 3. Japanese encephalitis

Explanation: kyasanur foerst disease a hemorrhagic fever found in karnataka. It is arboviral disease. A new arbo virus genetically related to RSSE isolated ANANTHANARYANAN TEXT BOOK OF MICROBIOLOGY 9EDITION PGNO.524